RBC cast in the microscopic examination of the urine is an indicator of
1. Acute glomerulonephritis
2. Acute pyelonephritis
3. Chronic glomerulonephritis
4. Nephrotic syndrome

Correct answer: 1. Acute glomerulonephritis

Explanation: (A) Acute glomerulonephritis THE GLOMERULAR SYNDROMEAcute nephritic syndromeHematuria, azotemia, variable proteinuria, oliguria, edema, and hypertensionRapidly progressive glomerulonephritisAcute nephritis, proteinuria, and acute renal failureNephrotic syndrome>3.5 gm proteinuria, hypoalbuminemia, hyperlipidemia, lipiduriaChronic renal failureAzotemia uremia progressing for yearsAzotemia uremia progressing for yearsGlomerular hematuria; subnephrotic proteinuria